Water hammer pulse seen in ?
1. Aortic stenosis
2. Aortic regurgitation
3. Aortic stenosis and Aortic regurgitation
4. Mitral regurgitation

Correct answer: 2. Aortic regurgitation

Explanation: A rapidly rising "water-hammer" pulse, which collapses suddenly as arterial pressure falls rapidly during late systole and diastole (Corrigan's pulse), and capillary pulsations, an alternate flushing and paling of the skin at the root of the nail while pressure is applied to the tip of the nail (Quincke's pulse), are characteristic of chronic severe AR. A booming "pistol-shot" sound can be heard over the femoral arteries (Traube's sign), and a to-and-fro murmur (Duroziez's sign) is audible if the femoral artery is lightly compressed with a stethoscope. ref : Harrison's principle of internal medicine,20th edition,pg no.1944